At 42 weeks gestation, a long, thin neonate is born. He is apneic, pale with HR 94 bpm and covered with "pea soup" amniotic fluid. Which of the following is the first step in the resuscitation at delivery?
1. Artificial ventilation with bag and mask
2. Administration of 100% oxygen by mask
3. Chest compressions
4. Intubation and suction of the trachea; provision of oxygen

Correct answer: 1. Artificial ventilation with bag and mask

Explanation: Case of post-term neonate showing signs of chronic placental insufficiency (LBW for gest. age and wasted appearance). Higher risk of asphyxia and meconium aspiration. As per the latest guidelines on resuscitation of a neonate born through Meconium stained liquor, routine endotracheal intubation and tracheal suction of all neonates born through MSL is no longer recommended.. instead, the resuscitation should proceed as per the NRP, just ensuring that at least one person skilled in Endotracheal intubation should be available at the time of resuscitation..